During ventricular pressure pulses square root wave is seen in -
1. ASD
2. MVPS
3. Dilated cardiomyopathy
4. Constrictive pericarditis

Correct answer: 4. Constrictive pericarditis